Pre-anesthetic medication is prescribed to?
1. Decreasing the dose of anesthetic drugs
2. Decreasing post-operative complications
3. Relieving the anxiety
4. All of the above

Correct answer: 4. All of the above

Explanation: Ans. is 'd' i.e., All of the above * Premedication (Pre-anesthetic medication) refers to the use of drugs before anesthesia to make it more pleasant and safe. The aims are :1. Relief of anxiety and apprehension preoperatively and to facilitate smooth induction.2. Amnesia for preoperative and postoperative events3. Supplement analgesic action of anesthetics and potentiate them ->> Reduce the dose of anesthetic.4. Decrease secretions and vagal stimulation (undesirable reflex).5. Antiemetic effect extending into postoperative period - To prevent post-operative nausea & vomiting.6. Decrease acidity and volume of gastric juice so that it is less damaging if aspirated.7. To decrease the chances of aspiration.